Cerebral malaria is caused by?
1. Plasmodium falciparum
2. Plasmodium ovale
3. Plasmodium vivax
4. Plasmodium malariae

Correct answer: 1. Plasmodium falciparum

Explanation: ANSWER: (A) Plasmodium falciparumREF: Harrison's 17th edition, chapter 203Cerebral Malaria: Coma is a characteristic and ominous feature of falciparum malaria and, despite treatment, is associated with death rates of 20% among adults and 15% among children. Any obtundation, delirium, or abnormal behavior should be taken very seriously. The onset may be gradual or sudden following a convulsion.